"Microabscess of munro" is seen in:
1. Lichen planus
2. Psoriasis
3. Pityriasis rosea
4. Tbberous sclerosis

Correct answer: 2. Psoriasis

Explanation: Ans: b (Psoriasis) Ref: Pavithran's textbook of dermatology, p. 14,15Micro abscess of Munro is seen in psoriasis.PsoriasisType IType IIHeriditaryStrong HLA association (HLA CW6)Severe course and early onsetArthropathy more common.SporadicHLA unrelatedMild course and late onsetThe most important locus for psoriasis susceptibility is Psors 1 (psoriasis susceptibility locus on chromosome 6p 21.3.T cells(helper) are fundamental in activating the disease process. The trigger to their activation may be conventional antigens or bacterial superantigens.Histopathology of psoriasis# Parakeratosis# Micro munro abscess-collection of neutrophils in stratum comeum# Spongiform pustules of Kogoj-aggregates of neutrophil in stratum spinosum.# Acanthosis with regular elongation of rete ridges-camel foot appearance.# Edema of dermal papillae with dilated & tortuous capillaries.Treatment of choice for generalized pustular psoriasis & psoriatic erythroderma is-Acetretin